Selenium is an essential component of
1. Glutathione synthetase
2. Glutathione peroxidase
3. Xanthine dehydrogenase
4. Cytochrome oxidase

Correct answer: 2. Glutathione peroxidase